A 25 years old male, flushes and feel ill after drinking small amounts of ethanol in alcoholic beverages. This reaction is due to genetic variation in an enzyme that metabolizes the liver metabolite of alcohol, which is:
1. Methanol
2. Acetone
3. Acetaldehyde
4. Hydrogen peroxide

Correct answer: 3. Acetaldehyde

Explanation: Ans. C. Acetaldehydea. The principal pathway for hepatic metabolism of ethanol is thought to be oxidation to acetaldehyde in the cytoplasm by alcohol dehydrogenase.b. Acetaldehyde is then oxidized, chiefly by acetaldehyde dehydrogenase within the mitochondrion, to yield acetate. Acetone, methanol, hydrogen peroxide, and glycerol do not appear in this biodegradation pathway.c. The genetic variations of acetaldehyde dehydrogenase have few phenotypic effects aside from sensitivity to alcoholic beverages and are extremely common in the affected populations.d. These characteristics qualify acetaldehyde dehydrogenase variation as an example of enzyme polymorphism.